Permethrin is used in treatment of – a) Scabiesb) Leprosyc) Body Loused) Leishmaniasis
1. a
2. bc
3. ac
4. b

Correct answer: 3. ac

Explanation: Permethrin is the drug of choice for local application in scabies and newly identified active infestation of pediculosis.